Which of the following tests in used to detect semen?
1. Phenolphthalein test
2. Reine's test
3. Barberio's test
4. Paraffin test

Correct answer: 3. Barberio's test

Explanation: The Essentials Forensic Medicine & Toxicology Dr.K.S. Narayana Reddy 32nd edition pg no415 Barberio,s Test: the presence of semen is detected,. A saturated aqeuous solution or alchoholic solution ofpicric acid when added to a spermatic fluid produces yellow needle shapedrhombic crystals of spermine picrate.the reaction probably depends on the presence of prostatic secretion